Snowstorm appearance in Ultrasound is seen in:
1. Hydatiform mole
2. Twins
3. Hydronephrosis
4. Downs syndrome in fetus

Correct answer: 1. Hydatiform mole

Explanation: Explanation:On ultrasound, the Hydatiform mole resembles a bunch of grapes ('cluster of grapes" or ''honeycombed uterus" or "snow-storm appearance) (See table below) Partial and Complete Hydatiform Mole PARTIAL MOLECOMPLETE MOLEFetus, Fetal vessels, PlacentaPresentAbsentKaryotype69 XXY (triploid)46 XXHydropic changesFocalMarkedMalignant potentialRare1 5-20%Ultrasound featuresFocal cystic spaces in placentaFetus and placenta are seenTransverse diameter of uterus increasesSnowstorm appearance